All of the following anticancer agents cause bone marrow suppression EXCEPT :
1. Chlorambucil
2. Daunorubicin
3. Doxorubicin
4. Flutamide

Correct answer: 4. Flutamide

Explanation: Flutamide is an anti-androgen. Most hormonal agents are devoid of bone marrow suppressant effect.
Alkylating agents, antimetabolites, natural products and other directly cytotoxic agents are myelosuppressants.
Vincristine and bleomycin are marrow sparing.